A mother brings her child to clinic with short stature. On examination following physical findings are seen. Doctor advises for the below investigations. Calcium - Normal, Phosphorous - Increased, PTH - Increased, Alvaline Phosphatase - Increased. What is the most probable diagnosis
1. Chronic renal failure
2. Vitamin D deficiency rickets, type 1
3. Vitamin D deficiency rickets, type 2
4. Hypophasphatemic rickets

Correct answer: 1. Chronic renal failure

Explanation: Image 1 ⇒ Rachitic rosary
Image 2 ⇒ Widening of wrists